Which of the following infection is not transmitted by the ingestion of contaminated food or water?
1. Leishmaniasis
2. Tinea soleum
3. Guinea worm
4. Toxoplasmosis

Correct answer: 1. Leishmaniasis

Explanation: Among the options given, Leishmaniasis is not transmitted through contaminated food or water, it is spread through the bite of sand flies. Humans are infected with toxoplasma when they ingest its cyst in undercooked meat or from contact with cat faeces.